Most common site of cancer stomach:
1. Greater curvature
2. Lesser curvature
3. Fundus
4. Antrum

Correct answer: 4. Antrum

Explanation: Ans. (d) AntrumRef: Sabiston 20th Edition, Page 1216* Most common site of cancer stomach: Antrum* Most common site of lymphoma: Antrum* Most common site of GIST: Proximal stomach* Most common site of cancer in pernicious anemia: Fundus* MC site of Lymphoma in Burkitt type- Body